Increased risk of cancer is seen in which of the following?
1. Fibroadenoma of breast
2. Bronchial asthma
3. Chronic ulcerative colitis
4. Leiomyoma of the uterus

Correct answer: 3. Chronic ulcerative colitis

Explanation: Certain non-neoplastic disorders such as:- Chronic atrophic gastritis of pernicious anemia Solar keratosis of the skin Chronic ulcerative colitis Leukoplakia of the oral cavity, vulva, and penis These conditions have such a well-defined association with cancer that they have been termed precancerous conditions.